Marcus Gunn pupil is a feature of all, EXCEPT:
1. Optic neuritis
2. Papilloedema
3. Optic atrophy
4. Retinal detachment

Correct answer: 2. Papilloedema

Explanation: Marcus Gunn Pupil: In swinging flashlight test, the pupil on the diseased side dilates on transferring light to it. It is positive in the following cases: Optic neuritis Optic atrophy Retinal detachment Central retinal vein occlusion Central retinal artery occlusion Ref: Review of ophthalmology A.K.Khurana, 5Th Ed, page 22.